Which of the following drug is safe in pregnancy?
1. Sodium nitroprusside
2. Hydralazine
3. ACE inhibitors
4. Indapamide

Correct answer: 2. Hydralazine

Explanation: Ans. B. HydralazineSafe antihypertensive in pregnancy - beta blockers (labetalol), methyl dopa, clonidine, nifedipine, hydralazine, prazosin.